Anchovy sauce pus is seen in?
1. Amoebic liver abcess
2. Pyogenic liver abscess
3. Hydatid cyst
4. Cold abscess

Correct answer: 1. Amoebic liver abcess

Explanation: Ans. (a) Amoebic liver abcessRef.: Bailey & Love 26th ed. / 70